Among the infectious diseases transmitted by food, one is
1. Viral stomatitis
2. Diptheria
3. Tuberculosis
4. Typhoid fever

Correct answer: 4. Typhoid fever